In apoptosis, the nucleus is destroyed by
1. Endonuclease fragmentation
2. Karyolysis
3. Phagocytosis
4. Necrosis

Correct answer: 1. Endonuclease fragmentation

Explanation: In H&E-stained tissue sections, the nuclei of apoptotic cells show various stages of chromatin condensation and aggregation and, ultimately, karyorrhexis (Fig. 1-21); at the molecular level this is reflected in fragmentation of DNA into nucleosome-sized pieces. Ref Robbins 9/e p 18